Flask shaped ulcers seen in a dysentry patient is diagnostic of
1. Typhoid
2. Amoebiasis
3. Giardiasis
4. Shigellosis

Correct answer: 2. Amoebiasis

Explanation: Clinical features of amoebiasis are: - * Intestinal amoebiasis - characteristic flask shaped ulcers * Amoebic liver abscess - Anchovy sauce pus * Lung abscess * Brain abscess Ref:- T.B of Medical Parasitology S.C.Parija 4th edition; Pg num:- 33